Paltine tonsil develops from?
1. 1st pharyngeal arch
2. 1st pharyngeal pouch
3. 2nd pharyngeal arch
4. 2nd pharyngeal pouch

Correct answer: 4. 2nd pharyngeal pouch

Explanation: The palatine tonsil develops (on each side)in relation to the lateral part of the second pharyngeal pouch.the endoderm lining the pouch undergoes considerable proliferation.it invades the underlying mesoderm of second arch,which forms the tonsilar strauma HUMAN EMBRYOLOGY-INDERBIR SINGH TENTH EDITION-PAGE NO:178